Which of the following antimalarial agents is most commonly associated with acute hemolytic reaction in patients with glucose-6- phosphate dehydrogenase deficiency?
1. Chloroquine
2. Clindamycin
3. Mefloquine
4. Primaquine

Correct answer: 4. Primaquine

Explanation: -Primaquine can cause hemolytic anemia in patients with even mild deficiency of G-6-PDdue to its oxidative properties. - Symtoms include passage of dark coloured urine which indicate hemolysis and the drug must be stoppped. - Quinine, chloroquine and hydroxychloroquine can also cause hemolysis in G-6-PD deficient patients but the frequency is less than that of primaquine.